Gonadotropin levels decline to prepubertal levels by age
1. 6 month to 1 year of age
2. 1 year to 2 years of age
3. 2 years to 3 years of age
4. 3 years to 4 years of age.

Correct answer: 2. 1 year to 2 years of age

Explanation: Gonadotropin levels gradually decline to reach prepubertal levels by age 1 to 2 years.